Which of the following NSAIDs has been approved for use in children?
1. Indomethacin
2. Ibuprofen
3. Ketorolac
4. Piroxicam

Correct answer: 2. Ibuprofen

Explanation: Paracetamol and ibuprofen are approved for use in children. PCM lacks anti-inflammatory activity.